In Congenital dystrophic epidermolysis bullosa, defect is in
1. Laminin 4
2. Collagen 3
3. Collagen 4
4. Collagen 7

Correct answer: 4. Collagen 7

Explanation: Dystrophic epidermolysis bullosa is due to defect in collagen 7 due to the mutation in COL7A1. Epidermolysis bullosa (EB) is a group of rare genetic conditions that result in easy blistering of the skin and mucous membranes. Blisters occur with minor trauma or friction and are painful. Its severity can range from mild to fatal. Those with mild cases may not develop symptoms until they start to crawl or walk. Target antigen and their localisation in skin for various dermatosis Disease Target antigen Pemphigus vulgaris Desmoglein 1 and 3 Pemphigus foliaceus Desmoglein 1 Bullous pemphigoid BPAg1 (230) and BPAg2(180) Pemphigoid gestations BPAg1 (230) and BPAg2(180) Epidermolysis bullosa acquisita Type 7 collagen Linear IgA dermatosis BP 180 Ref Harrison 20th edition pg 1234